Increased alanine during prolonged fasting represents:
1. Increased breakdown of muscle proteins
2. Impaired renal function
3. Decreased utilization of amino acid from Gluconeogenesis
4. Leakage of amino acids from cells due to plasma membrane damage

Correct answer: 1. Increased breakdown of muscle proteins

Explanation: Ans. A. Increased breakdown of muscle proteinsDuring prolonged fasting, there is increased gluconeogenesis. Alanine provided by muscle is one of the substrates for gluconeogenesis.This is called Glucose Alanine Cycle or Cahill Cycle.So plasma level of Alanine rises in prolonged starvation.Remember:In prolonged fasting plasma level of Alanine rises.In hyperammonemia plasma level of Glutamine rises.